The cancerogenic chemical that has a very long latent period is –
1. Benzopyrine
2. Vinyl chloride
3. Asbestos
4. Estrogens

Correct answer: 3. Asbestos